Acantholytic cells in Pemphigus are derived from ?
1. Stratum granulosum
2. Stratum basale
3. Langerhans cell
4. Stratum spinosum

Correct answer: 4. Stratum spinosum

Explanation: Ans. is 'd' i.e., Stratum spinosum o First know about the layers of skin A. Epidermis (from superficial to deep) - Stratum corneum (Horny layer) Stratum granulosum (granular cells layer) Stratum spinosum (Prickle cell layer) Stratum basale (Basal cell layer) B. Dermis Papillary dermis Reticular dermis o Pemphigus is characterized by acantholysis. Acantholysis is separation of epidermal cells from one another. This separation occurs due to antibodies (IgG) against the intercellular substances. Acantholysis occurs in different layers of epidermis in different types of pemphigus. o Pemphigus vulgaris and -----> Acantholysis occur in between basal cells and cells of prickle cell layer (Stratum pemphigus vegetans spinosum). Some books also state that acantholysis occurs in suprabasal layer. Suprabasal layer is most probably, stratum spinosum as it is seen above basal layer. Pemphigus foliaceous and -----> Acantholysis occurs in stratum granulosum. pemphigus erythematous So, Stratum spinosum is involved in pemphigus vulgaris and pemphigus vegetans and stratum granulosum is involved in pemphigus foliaceous and pemphigus erythematosus. But, the answer should be stratum spinosum, as pemphigus vulgaris is the most common type of pemphigus and most probably they have asked about it.